When a forceps is to be utilized for removal of a tooth, the first direction for the force to be applied is:
1. Occlusally
2. Buccally
3. Lingually
4. Apically

Correct answer: 4. Apically